Example of neuromuscular blocker causing hypotension is:
1. Rocuronium
2. Vecuronium
3. Pancuronium
4. Atracurium

Correct answer: 4. Atracurium

Explanation: The hypotension seen with the use of atracurium and mivacurium is due to release of histamine, whereas dTubocuranine causes hypotension histamine release and ganglion blockade. Ref: Miller's anesthesia-7th ed, Chapter 29.